On the administration of LA in the area of infection, most of the LA is present in the form of:
1. Increase in cationic form
2. Buffering capacity of LA decreased
3. Decreased concentration of uncharged base
4. Decreased charged cations

Correct answer: 1. Increase in cationic form